Which of the following is an antiapoptotic gene ?
1. C-myc
2. P53
3. bcl-2
4. bax

Correct answer: 3. bcl-2

Explanation: Ans. is 'c' i.e., bcl - 2